Which of the following torture techniques are known by the term 'Telefono'?
1. Beating the soles of feet with a rod
2. Both ears are clapped
3. Repeatedly shocked through wires
4. Tying of a plastic bag over head

Correct answer: 2. Both ears are clapped

Explanation: Bell (campana): a method of torture leaving no external marks in which a person's head is placed within a pail or other metal container which is then struck repeatedly, causing sudden loud sounds and reverberations Buzzer (chicharra): a method of torture in which the person is repeatedly shocked through wires or other conducting objects that are attached to parts of the body (e.g., ears, eyes, eyelids, genitals, gums, soles of feet) Carry On: a method of communal torture in which a group of guards use batons, pick handles, and other weapons to beat prisoners Chepuwa: a method of torture in which the person's thighs are tightly bound with bamboo or similar materials Falanga: a method of torture in which the soles of the feet are repeatedly struck with either hard (e.g., canes) or pliable (e.g., wires) objects Helicopter trip: a method of torture in which the person is hung upright or upside-down from one of the large blades of a ceiling fan and is struck repeatedly as the blade revolves Necklacing: a method of torture in which a tire, filled with gasoline or similar flammable liquid, is placed around the person's neck and set afire; also, a method of psychological torture in which a landmine, grenade, or similar explosive is tied around a person's neck in a way that it is difficult or impossible to remove without detonation Torment of the sticks (Supplice de baguettes): a method of torture in which two sticks are placed through a wire encircling a person's head and are slowly turned, tightening the wire Telephone (telefono): a method of torture in which both ears are clapped or otherwise struck Wet submarino (Latino) - forced immersion of head in water often contaminated with urine or faeces. Dry submarino - tying of a plastic bag over the head up to the point of suffocation. Cattle prod - electric shock are given using high voltage current. Black slave - heated metal skewer inserted into the anus.